All statements are TRUE for Chylamydia psittacosis, EXCEPT:
1. Acquired from bird's dropings
2. Causes urethritis
3. Causes pneumonia
4. Treatment is tetracycline

Correct answer: 2. Causes urethritis

Explanation: Chlamydia psittaci causes "Psittacosis", a zoonotic disease. Humans contract disease by inhaling airborne dust or contact with bird droppings. Psittacosis is associated with fever, chills, myalgia, headache, photophobia, cough and pneumonia. Urethritis is not associated with psittacosis. Ref: Zoonoses: Infectious Diseases Transmissible from Animals to Humans, H. Krauss, 3rd Edition, Chapter 2, Page 192; Ananthnarayanan 7th Edition, Page 428;Harrisons 16th Edition, Page 1017; Alcamo's Fundamentals of Microbiology, Jeffrey C. Pommerville, 7th Edition, Chapter 8, Page 298.